Blood will interfere with the nitrazine test for de tecting ruptured membranes because:
1. It is acid
2. It is alkaline
3. It contains increased amounts of sodium chloride
4. It contains decreased amounts of sodium chloride

Correct answer: 2. It is alkaline

Explanation: It is alkaline